The normal cellular counterparts of oncogenes are important for the following functions, except:
1. Promotion of cell cycle progression
2. Inhibition of apoptosis
3. Promotion of DNA repair
4. Promotion of nuclear transcription

Correct answer: 3. Promotion of DNA repair

Explanation: Oncogenes may function by inactivation of DNA repair genes, but not by promotion of DNA repair. Ref: Robbin's Illustrated Pathology, 7th Edition, Pages 293, 295; Oncogenes By Geoffrey M. Cooper, 1995, Preview.